Which of the rotator muscle was not given its due importance and was called Forgotten muscle of rotator cuff ?
1. Subscapularis
2. Supraspinatus
3. Infraspinatus
4. Teres minor

Correct answer: 1. Subscapularis

Explanation: Subscapularis-:"forgotten muscle'' of rotator cuff- Internal rotator of the shoulder Difficult to pick up in MRI Diagnostic test done-lift off, belly press, Gerber test Nerve supply: Upper and lower subscapular nerves from posterior chord of brachial plexus